3 months old baby with fever and respiratory rate 60, irritable, and well feed, no stridor, no chest indrawing, no convulsions. Diagnosis
1. Pneumonia
2. Severe pneumonia
3. Very sever pneumonia
4. No Pneumonia

Correct answer: 1. Pneumonia

Explanation: The above given history is suggestive of pneumonia as there is increased respiratory rate. New ARI classification (2014) by WHO: Diagnosis Clinical features Pneumonia Fast breathing and/or chest indrawing Severe pneumonia or Very severe disease General danger signs present If the child Is: Fast breathing Is: 2 months up to 12 months 50 breaths per minute or more 12 months up to 5 years 40 breaths per minute or more